Maximum tachycardia is seen with
1. Nifedipine
2. Verapamil
3. Propanolol
4. Amlodipine

Correct answer: 1. Nifedipine

Explanation: Ans. is 'a' i.e., Nifedipine